Homologous serum jaundice is a disease caused by hepatitis:
1. Virus A
2. Virus B
3. Virus C
4. None of these

Correct answer: 2. Virus B

Explanation: Homologous serum jaundice is a disease caused by hepatitis virus B.